Excision of the hyoid bone is done in
1. Branchial cyst
2. Branchial fistula
3. Thyroglossal cyst
4. Sublingual dermoids

Correct answer: 3. Thyroglossal cyst